Which of the following is not intracapsular -
1. Coronoid fossa
2. Radial fossa
3. Olecranon fossa
4. Lateral epicondyle

Correct answer: 4. Lateral epicondyle

Explanation: Ans. is 'd' i.e., Lateral epicondyle o The capsular ligament of the elbow joint is attached to the lower end along a line that reaches the upper limits of the radial and coronoid fossae anterioly; and of the olecranon fossa posteriorly; so that these fossae lie within the joint cavity.o Medially, the line of attachment passes between the medial epicondyle and the trochlea,o On the lateral side, it passes between the lateral epicondyle and the capitulum.Attachments of right humerus: Anterior viewAttachments of right humerus: Posterior view